Which of these tumors is least radiosensitive
1. Ewing's sarcoma
2. Osteosarcoma
3. Wilm's tumor
4. Neuroblastoma

Correct answer: 2. Osteosarcoma

Explanation: Ans. is 'b' i.e. Osteosarcoma Repeated innumerable timesOsteosarcoma is least radiosensitive out of the four.Radiosensitivity of differenttumors A)Highly Sensitive C)Relatively resistant LymphomaSeminomaMyelomaEwing's Sq cell Ca of lung Hypernephroma Rectal Carcinoma Bladder carcinomaB)Wilms tumor Moderately sensitiveSmall cell Ca of lung Breast cancer Basal cell Ca D)Soft tissue sarcoma Carcinoma of the cervix Highly resistant Melanoma Osteosarcoma Pancreatic Medulloblastoma TeratomaOvarian cancer * About neuroblastoma, Devita's Oncology, 7/e, p 1907 writes - "Neuroblastoma is very sensitive to ionizing radiation".